Mineralocorticoid receptors are found in all of the following except
1. Hippocampus
2. Kidney
3. Colon
4. Liver

Correct answer: 4. Liver

Explanation: Mineralocorticoid receptors are not as widely expressed as those for glucocorticoids. Classic aldosterone-sensitive tissues include epithelia with high electrical resistance, such as the distal parts of the nephron, the surface epithelium of the distal colon, and the salivary and sweat gland ducts. More recently, other cells that express mineralocorticoid receptor have been identified, such as epidermal keratinocytes, neurons of the central nervous system, cardiac myocytes, and endothelial and smooth muscle cells of the vasculature (large vessels). Therefore, additional effects of aldosterone include increased sodium reabsorption in salivary and sweat glands, increased K + excretion from the colon, and a positive inotropic effect on the heart. The mineralocorticoid receptor-a member of the nuclear receptor family and also found in the heart, colon, and hippocampus.